In brow presentation, presenting diameter  is/are:
1. Submentovertical
2. Occipitofrontal
3. Mentovertical
4. Suboccipitobregmatic

Correct answer: 3. Mentovertical